Differentiating features of contusion (Vs postmortem staining) are -a) Bluish in colorb) Disappear with pressure on areac) Margin irregulard) Limited to intravascular compartmente) Extravasation of blood occurs
1. abc
2. be
3. ce
4. bcd

Correct answer: 3. ce

Explanation: The colour of bruise changes as per stage of healing seen (whereas postmortem lividity as bluish-pink to bluish purple).
There is no effect of pressure on a bruise
Margins of a bruise are irregular and diffuse into surrounding (margins of postmortem lividity are clear-cut). 
In bruise, blood is into the extravascular compartment (it is in an intravascular compartment in postmortem lividity).
Extravasation of blood occurs in a bruise.